True about antenatal doppler analysis is all except – a) Reduction in end diastolic flow is associated with poor out comeb) Reduction in EDF is associated with IUGRc) In normal gestation placental resistance is highd) S/D ratio is high in IUGRe) Investigation of choice in pregnancy
1. a
2. b
3. ce
4. ae

Correct answer: 3. ce

Explanation: Reduction in end diastolic flow and high S/D ration are associated with fetal compromise, IUGR and poor outcome.
As normal pregnancy progresses, placental blood flow increases due to reduction in placental vascular resistance.
Doppler ultrasound is not the routine investigation of choice in pregnancy. It has specific indications. Transvaginal USG is the procedure of choice.